'Vision 2020' includes all of the following except aEUR'
1. Onchocerciasis
2. Epidemic conjunctivitis
3. Cataract
4. Trachoma

Correct answer: 2. Epidemic conjunctivitis

Explanation: Epidemic conjunctivitis Repeat from May 07 Vision 2020: The Right to Sight, is a global initiative launched by WHO in Geneva in 1999 in coalition with Task force of International NGOs' Globally, WHO hs identified 5 major blinding eye conditions, for immediate attention: i) Cataract ii) Childhood blindness iii) Trachoma iv) Refractive errors and low vision v) Onchocerciasis (River blindness) The Government of India has adopted 'Vision 2020: Right to Sight' under 'National Programme for Control of Blindness' in 2001. Target diseases identified for intervention under 'Vision 2020' initiatives in India are: i) Cataract ii) Childhood blindness iii) Trachoma iv) Refractive errors and low vision v) Corneal blindness vi) Diabetic retinopathy vii) Glaucoma Objective of Vision 2020 - is to eliminate avoidable blindness by the year 2020 and reduce the global burden of blindness.